Arterial embolization done in all except ?
1. Uterine AV malformation
2. PPH
3. Bleeding fibroid
4. Prevent bleeding in endometriosis

Correct answer: 4. Prevent bleeding in endometriosis

Explanation: Ans. is 'd' i.e., Prevent bleeding in endometriosisIndications for embolization in Obstetrics and Gynecology are the following:Postpartum hemorrhage: Uterine atony / tears, Abnormal placentationPost abortion/ ectopicPost hysterectomyUterine AV malformation/ Gestational trophoblastic tumorsGynecological malignanciesFibroids (acute bleeding)